Which one can have more than one value
1. Mean
2. Median
3. Mode
4. None of the above

Correct answer: 3. Mode

Explanation: In a central tendancy of distribution :

Mean is the best measure.
Mode is most frequently occuring value in the given distribution.
Mode may be bimodal or trimodal.
Mode = 3 mediam - 2 mean.